Chromosome for RCC is -
1. 3
2. X
3. 22
4. 20

Correct answer: 1. 3

Explanation: Ans. is 'a' i.e., 3 o Clear cell carcinoma is the most common renal cell carcinoma and is associated with 3p deletion.Chromosomal abnormalities associated with RCCClear cell carcinomaDeletion of short arm of chromosome-3 (3p deletion), i.e. VHL gene.Papillary CarcinomaSporadic : Trisomy of 7, 16, 17; loss of Y chromosome (Y); t (X: 1). Hereditary: Trisomy 7.Chromophobe (oncocytic) renal cell carcinomaHypodiploidy or monosomy due loss of multiple chromosomes: 1, 2, 6, 10, 13,17, 21, & Y